Culture media for Legionella
1. BCYE agar
2. Macconkey agar
3. PLET medium
4. Baird Parker medium

Correct answer: 1. BCYE agar

Explanation: * Legionella isolation is done from respiratory secretions - culture media is BCYE agar * Buffered Charcoal Yeast Extract Agar (BCYE) * Baird Parker agar - Staphylococci * MacConkey agar - Urine sample - to differentiate LF and NLF * PLET medium - Bacillus cereus Ref:- Harrisons T.B of medicine 19th ed; pg num:- 1018